Structure(s) passing between middle and inferior constrictor muscles of pharynx is/are:
1. Superior laryngeal artery and vein
2. Styloglossus
3. Internal laryngeal branch of superior laryngeal nerve
4. Only (a) and (c)

Correct answer: 4. Only (a) and (c)

Explanation: Superior laryngeal vessels and internal laryngeal branch of superior laryngeal nerve which supplies pyriform fossa and sensory fibres to larynx above the level of vocal cord enters through thyrohyoid membrane between middle and inferior constrictors.